A 48-year old woman comes with bilateral progressive weakness of both lower limbs, spasticity and mild impairement of respiratory movements. MRI shows an intradural mid-dorsal midline enhancing lesion. What is the diagnosis?
1. Intradural lipoma
2. Meningioma
3. Neuroenteric cyst
4. Dermoid cyst

Correct answer: 2. Meningioma

Explanation: CNS Tumor Intra-axial Extra-axial Neuronal Astrocytoma (Glioma) Lymphoma Pituitary Schwannoma Meningioma Ref: Harrison 19th edition Pgno: 602